Which of the following test is used to detect signs of organic brain damage?
1. Rorschach Test
2. Bender Gestalt Test
3. Sentence Completion Test k
4. Thematic Aperception Test

Correct answer: 2. Bender Gestalt Test

Explanation: Bender Gestalt test is a brief, nonverbal, perceptual motor assessment instrument. It was originally developed by Lauretta Bender as a measure of visual motor maturation in children. In this test patients are asked to copy designs from the card (containing design) in front of them. Now it is most widely used as a screening measure for brain dysfunction in both adults and children. Ref: Concise Encyclopedia of Special Education: A Reference for The Education of Special Education, 2nd Edition By Cecil R. Reynolds, Page 125 ; Essentials of Abnormal Psychology By V. Mark Durand, 5th Edition, Page 82 ; BRS Behavioral Science By Barbara Fadem, 5th Edition, Page 71